Which of the following is true regarding thyroid disease and infertility
1. Thyroid dysfunction has no relationship with infertility
2. Any degree of hypothyroidism should be treated in infertile women
3. Subclinical hypothyroidism is not associated with ovarian dysfunction
4. TSH levels are usually elevated in nearly half of women with infertility

Correct answer: 2. Any degree of hypothyroidism should be treated in infertile women

Explanation: In women seeking treatment for infertility, early detection and treatment of hypothyroidism of any degree is advised.